Cause of infertility in hypothyroidism...
1. Decrease prolactin
2. Increasedprolactin
3. Both
4. None

Correct answer: 2. Increasedprolactin

Explanation: Ans. is 'b' i.e., Increased prolactin "Hypothyroidism is also linked to causing an excess release of the hormone prolactin. Prolactin is a hormone that stimulates the production of breast milk and an overproduction of this hormone can cause irregular periods and a halt in ovulation. "